The fastest dental film currently available has the speed
rating of
1. "D" speed
2. "C" speed
3. "F" speed
4. "E" speed

Correct answer: 3. "F" speed